One is not the feature of obstructive jaundice -
1. Pruritis
2. Elevated level of S.bilirubin
3. Raised alkaline phosphatase
4. Raised Urinary urobilinogen

Correct answer: 4. Raised Urinary urobilinogen